Anesthetic agent with vasoconstrictor is contraindicated in?
1. Finger block
2. Spinal block
3. Epidural block
4. Regional anesthesia

Correct answer: 1. Finger block

Explanation: The use of vasoconstrictors (epinephrine or adrenaline) along with a local anesthetic is usually avoided in case of ring block or finger block as it causes severe vasocontriction (direct alpha adrenergic effect). As this vaso-constriction in the end arteries can lead to gangrene formation. Ref: Neural blockade in clinical anesthesia and management of pain, Issue 494 - Page 124, By Michael J. Cousins, Phillip O. Bridenbaugh; Fundamentals of Surgical Practice By Andrew Kingsnorth, Douglas Bowley, Page 147.